What is the most common eye pathology in rheumatoid arthritis?
1. Scleritis
2. Episcleritis
3. Keratoconjunctivitis sicca
4. Anterior uveitis

Correct answer: 3. Keratoconjunctivitis sicca

Explanation: Answer- C. Keratoconjunctivitis siccaMC ocular manifestation of RA- Dry eye(Keratoconjunctivitis sicca).